The rate of cooling down of dead bodies in tropical climate is:
1. 0.2degC/h
2. 0.5degC/h
3. 1.5degC/h
4. 2degC/h

Correct answer: 2. 0.5degC/h

Explanation: Ans. 0.5degC/h